All are the features of absence seizures except
1. Usually seen in childhood
2. 3-Hz spike wave in EEG
3. Postictal confusion
4. Precipitation by hyperventilation

Correct answer: 3. Postictal confusion

Explanation: The postictal state is the altered state of consciousness after an epileptic seizure. It usually lasts between 5 and 30 minutes, but sometimes longer in the case of larger or more severe seizures, and is characterized by drowsiness, confusion, nausea, hypertension, headache or migraine, and other disorienting symptoms Ref Harrison20th edition pg 2567